During conversion of glycerol to pyruvic acid, the first glycolytic intermediate to form is:
1. 2 - phospho glyceric acid
2. 3 - phospho glyceric acid
3. 3 - phospho glyceraldehyde
4. Dihydroxy acetone phosphate

Correct answer: 4. Dihydroxy acetone phosphate